A 20 year female came to the medical OPD with severe pain and redness over dorsum of the foot. Past history of severe abdominal pain episodes were present. Peripheral smear showed anemia with presence of poikilocytes. Likely diagnosis is
1. Hemoglobin C disease
2. Thalassemia minor
3. Sickle cell anemia
4. G6PD deficiency

Correct answer: 3. Sickle cell anemia